In sebaceous glands accumulation of sebum leads to
1. Millia
2. Acne
3. Epidermoid cyst
4. Milliria

Correct answer: 2. Acne

Explanation: Acne -etiopathogenesis: follicular hyperkeratinization increased sebum production colonization of the pilosebaceous unit with Propionibacterium acnes production of inflammatory mediators Reference Harrison20th edition pg 1278